ECG change suggestive of hypokalemia is:
1. Absent P wave
2. Delta wave
3. U wave
4. Global ST elevation

Correct answer: 3. U wave

Explanation: Ans: c (U wave)Ref: Harrison, 17th ed. pg. 282Hypokalemia is associated with ST depression, prolonged PR interval, flattened or Inverted T waves,Prominent U waves and rarely S - A block.Hypokalaemia Hyperkalaemia- ST depression- Increased T wave amplitude- Flattened or inverted- Peaked T wavesT wave- Prominent U wave- Prolonged PR interval- Prolonged P-R interval- Prolonged QRS duration- Rarely S-A block- AV conduction delay- Loss of P waves- Sine wave pattern- Ventricular fibrillation or asystoleSome more ECG patterns:Delta wave - WPW syndrome Osborn waves -Hypothermia (Camel hump sign) Epsilon waves -ARVD (Arrythmogenic RV dysplasia) QT prolongation -Hypocalcaemia Short QT -Hypercalcaemia